Gelle's test is for-
1. Otosclerosis
2. NIHL
3. Sensorineural deafness
4. None

Correct answer: 1. Otosclerosis

Explanation: Gelle’s Test
This test was earlier done to confirm the presence of otospongiosis. In this test, BC (bone conduction) is tested and at the same time Siegle’s speculum compresses the air in the meatus. In normal individuals hearing is reduced after this; i.e. Gelles test is positive; but in stapes fixation, sound is not affected. i.e Gelles test is negative